Which of the following is the most likely cause of pulpal necrosis following trauma to a tooth?
1. Ankylosis
2. Calcific metamorphosis
3. Pulpal hyperemia
4. Dilaceration

Correct answer: 3. Pulpal hyperemia

Explanation: The other three answers may occur as the result of trauma but do not cause loss of vitality. Pulpal hyperemia causes increased intrapulpal pressure and swelling, which may result in an interruption of the pulp’s blood supply. Without an adequate blood supply, the pulp becomes necrotic. This process can take time, and symptoms (either radiographic or clinical) may not present for weeks or even months. Typically, follow-up examination and radiographs are indicated at 1, 2, and 6 month intervals following a traumatic incident.